Man is a definitive host of which parasite ?
1. Malaria
2. Filaria
3. Measles
4. All

Correct answer: 2. Filaria

Explanation: Ans. is 'b' Filaria